Which of the following is non poisoning snake?
1. Viper
2. Krait
3. Sea snake
4. Rat snake

Correct answer: 4. Rat snake

Explanation: D i.e. Rat snake